COWS is related to ?
1. Romberg test
2. Caloric test
3. Fistula test
4. Hallpike positional test

Correct answer: 2. Caloric test

Explanation: Ans. is'b'i.e., Caloric testln bithermal caloric< test rCold water provokes nystagmus towards the opposite ear, while wann wotet grovolecs nystagmus towards sarne ear (COWS:- Cold - opposite, Warm - same).